Which of the following beta lactam antibiotic can be safely used in a patient with a history of allergy to Pencillin
1. Aztreonan
2. Cefepime
3. Loracarbef
4. Ceftriaxone

Correct answer: 1. Aztreonan

Explanation: Refer KDT 6/e p708 Aztreonan is the only beta lactam anti6 that can be used in patients having severe allergy to Pencillin or cephalosporin